Most common viral infection after Kidney Transplantation is:
1. EBV
2. HSV
3. CMV
4. HBV

Correct answer: 3. CMV

Explanation: Answer is C (CMV): CMV is the most common viral infection after Kidney Transplantation. 'CMV is the single most important viral infection in renal transplant recipients'- Critical Care Nephrology